Radiographic finding of floating teeth can be seen in -
1. Ectodermal dysplasis
2. Cleido cranial dysplasia
3. Osteopetrosis
4. Histiocytosis - X

Correct answer: 4. Histiocytosis - X

Explanation: On radiographic examination of mandible, erosion of the bony alveoli around the teeth, so that they seem to be floating in space.
Seen in histiocytosis X.